Which of the following is an example for reversible dementia?
1. Normal pressure hydrocephalus
2. Alzheimer's dementia
3. Lewy body dementia
4. CreutzFeldt Jakob disease

Correct answer: 1. Normal pressure hydrocephalus

Explanation: Important possibly reversible conditions are: Substance and medication related Anticholinergics, anti-hypertensives, sedative hypnotics Psychiatric disorders Depression Metabolic and endocrinal disorders Hypothyroidism, Vitamin B12 deficiency, Hepatic and Renal failure Neurosurgical conditions Normal pressure Hydrocephalus, Brain tumor, Subdural hematoma Neuroinfections Herpes encephalitis Miscellaneous Significant sensory deficits